Beta blocker without local anaesthetic effect is ?
1. Metoprolol
2. Pindolol
3. Atenolol
4. All

Correct answer: 3. Atenolol

Explanation: Ans. is 'c' i.e., Atenolol b-blockers with membrane stabilizing (Local anaesthetic action o Pindolol o Acebutolol o Carvedilol o Betaxolol o Propranolol o Metoprolol o Labetalol